What is the TIBC in Anemia of chronic disease vs Iron deficiency anemia?
1. Increased in both
2. Decreased in both
3. Increased in Anemia of chronic disease and decreased in Iron deficiency anemia
4. Decreased in Anemia of chronic disease and increased in iron deficiency anemia

Correct answer: 4. Decreased in Anemia of chronic disease and increased in iron deficiency anemia

Explanation: ANSWER: (D) Decreased in Anemia of chronic disease and increased in iron deficiency anemiaREF: Harrisons 18" ed ch: 103See APPENDIX-52 for TYPES OF ANEMIA APPENDIX - 52Types of Anemia Iron Deficiency(SideropenicAnemia)ThalassemiaSideroblasticAnemiaAnemia Of Chronic DiseasePeripheral smearMicrocytichypochromicMicrocytichypochromicMicrocytichypochromicNormocytic normochromic (Microcytic hypochromic can be seen)Serum ironLowNormalNormalLowTIBCHighNormalNormalLowSaturation %|N/|N/ ||Ferritin (ug/1)|||N/|